In genetic deficiency of MPO the increased susceptibility to infection is due to -
1. Defective production of Prostaglandins
2. Defective rolling of neutrophils
3. Inability to produce hydroxyl-halide radicals
4. Inability to produce hydrogen peroxide

Correct answer: 3. Inability to produce hydroxyl-halide radicals

Explanation: Myeloperoxidase is an enzyme in Macrophages for production of hypochlorous radical from H2O2, which kills bacteria. Basic Pathology, Robbins. Page no.: 38